Cleft of upper lip is formed due to failure
1. Failure of fusion of maxillary process to mandibular process
2. Medial nasal and two mandibular process
3. Medial nasal and lateral nasal process
4. Medial nasal and maxillary process

Correct answer: 4. Medial nasal and maxillary process